Criteria for defining polio epidemic are all except -
1. 2 or more cases
2. Cases should occur in same locality
3. Caused by same virus type
4. Cases occurring during 6 month period

Correct answer: 4. Cases occurring during 6 month period